Mediator of fever is?
1. IFN-γ
2. TNF-α
3. IL-10
4. IL-2

Correct answer: 2. TNF-α

Explanation: “IL-1 and TNF-α are the two most importantpyrogenes ”